Regarding urogenital diaphragm all are true except
1. Is also called triangular ligament
2. Is not so well developed in female as in male
3. Consists of two layers of fascia through which pass the vagina and urethra
4. Deep transverse perineal muscle lies external to fascia

Correct answer: 4. Deep transverse perineal muscle lies external to fascia

Explanation: Deep transverse perineal muscle lies between 2 layers of fascia of urogenital diaphragm.